Under metabolic conditions associated with a high rate of fatty acid oxidation, liver produces
1. Glutamate
2. Acetoacetate
3. Cholesterol
4. Glycine

Correct answer: 2. Acetoacetate